Long post antibiotic effect is seen in?
1. Quinolones
2. Macrolites
3. Penicillin
4. Cephalosporin

Correct answer: 1. Quinolones

Explanation: ANSWER: (A) QuinolonesREF: Katzung 9th ed p-1179, Lippincott s Illustrated Reviews: Pharmacology by Richard A. Harvey, Pamela C. Champe page 353POST ANTIBIOTIC EFFECT:Post antibiotic effect (PAE) is a persistent suppression of microbial growth that occurs after levels of antibiotic have fallen below the MIC. To measure the PAE of an antibiotic ca test culture is first incubated in antibiotic containing medium anfd then transferred to antibiotic free medium. PAE is defined as the length of time it takes (after the transfer) for the culture to acheeve log phase growth.Antimicrobial drugs exhibiting a long PAE (several hours) often require only one dose per day. For example aminoglycosides and fluoroquinilones, exhibit a long PAE, particularly against gram negative bacteria.Time-dependent antibiotics tend to have minimal to no postantibiotic effect, whilst concentrationdependent antibiotics usually have a dose dependent long post antibiotic affectAntibioticAnti bacterial actionPharmacodynamic categoryFDA pregnancy risk categoryPenicillinBactericidalTime dependentBCephalosporinsBactericidalTime dependentBCarbapenemsBactericidalTime dependentB (Imipenem-C)MacrolidesBacteriostaticTime dependentB (clarithromycin-C)ClindamycinBacteriostaticTime dependentBTetracyclinsBacteriostaticTime dependentDAminoglycosidesBactericidalConcentration dependentDFloroquinolonesBactericidalConcentration dependentCGlycopeptidesBactericidalTime dependentCMetronidazoleBactericidalConcentration dependentB